Which of the following is a L-type calcium channel blocker:
1. Nifedipines
2. Amlodipines
3. Diltiazem
4. All of the above

Correct answer: 4. All of the above

Explanation: Ans. (d) All of the aboveRef. KDT 6th ed. / 528Types of Calcium Channel Blocker L-Type (long lasting current)T-type (transient current)N-Type (neuronal)Locations and function* Excitation -contraction coupling in cardiac and smooth muscle* SA, A-V node: conductivity* Endocrine cell: Hormone release* Neurons: transmitter release* Sa node- pacemaker activity* "T" current and repetitive spikes in thalamic and other neurons* Endocrine cells hormone release* Certain arteries constriction* Only on Neurons in CNS, sympathetic and myenteric plexuses transmitter releaseBlocker (drugs)Amlodipines, Nifedipine, diltiazem, verapamilMibefradil, flunarizine, ethosuximideo- conotoxin